A patient complaining of difficulty of swallowing of solid
foods is suffering from all of the following except:
1. diffuse esophagus spasm
2. Achalasia cardia
3. esophageal carcinoma
4. bulbar palsy

Correct answer: 4. bulbar palsy